Function of peroxisomes is:
1. Generate hydrogen peroxide
2. Degrade hydrogen peroxide
3. Both
4. None

Correct answer: 3. Both

Explanation: Peroxisomes are associated with: Production of peroxides and degradation of peroxides